Survival in unresectable GB ca is ?
1. 4-6 months
2. 8-10 months
3. 1 yr
4. 12-24 months

Correct answer: 1. 4-6 months

Explanation: The disease has a very poor prognosis with the median survival less than 6 months and a 5 year survival of 5%. Reference:Bailey & Love's short practise of surgery,25th edition,page no:1129.